Most dangerous dehydration is -
1. Hyponatremic
2. Hypernatremic
3. Isonatremic
4. Non-diarrhoel cause

Correct answer: 2. Hypernatremic